In Breslau's second life test, organ tested in -
1. Brain
2. Heart
3. Lung
4. Stomach and intestine

Correct answer: 4. Stomach and intestine

Explanation: Ref:Synopsis of Forensic medicine and toxicology (K.S.Narayan Reddy) 28th edition, page no.240 Air is swallowed into the stomach during respiration. The stomach and intestine are removed after tying double ligatures at each end. they float in water if respiration have taken palce, other wise they sink. this is known as Breslau's second life test or stomach bowel test. It is usless when there is decomposition. when disected under water, the stomach shows mucus, saliva and air bubbles if respiration has taken place, and only mucus if breathing has not occured. Blood, meconium or liquor amnii in the stomach indicate that the child was alive at or shortly before birth. If milk present in the stomach, it is positive evidence that the child has lived for some time after birth.